Roth spots are seen in –
1. Bacterial endocarditis
2. HTN retinopathy
3. DM retinopathy
4. None

Correct answer: 1. Bacterial endocarditis